Subpubic angle in female is
1. 70 degrees
2. 90 degrees
3. 120 degrees
4. 180 degrees

Correct answer: 2. 90 degrees

Explanation: Ans. is 'b' i.e., 90 degrees PELVISTraitMaleFemale1) Bony frameworkMassive, rougher, marked muscle sites. Stands higher and more erect.Less massive, slender, smoother.Less muscle marking.2) GeneralDeep funnel.Flat bowl.3) IliumLess vertical; curve of iliac crest reaches higher level and is more prominent.More vertical; distance between iliac crests is less; iliac fossae shallow; curves of crest well marked.4) Preauricular sulcus (attachment of anterior sacroiliac ligament)Not frequent; narrow, shallow.More frequent, broad and deep5) AcetabulumLarge, 52 mm. in diameter; directed laterallySmall, 46 mm. in diameter; directed anterolaterally.6) Obturator foramenLarge, often oval with base upwardsSmall, triangular with apex forwards.7) Greater sciatic notchSmaller, narrower, deeper.Larger, wider, shallower.8) Illeo-pectineal lineWell marked and rough.Rounded and smooth.9) Ischial tuberosityInvertedEverted; more widely separated10) Body of pubisNarrow, tirangular, thick; short is chial ramus.Broad, square; ischial ramus is lengthened and narrowed; pits on posterior surface if borne children.11) Ramus of pubisIt is like continuation of body of pubis.Has a constricted or narrowed appearance and is short and thick.12) Ischiopubic ramiMore everted, thicker and rougher.Less everted, thinner and smoother.13) SymphysisHigher, bigger and narrow in width.Margins of pubic arch everted.Lower, wider and rounded, margins of pubic arch not everted; distance between two pubic tubercles greater. The dorsal border is irregular and shows depressions or pits (scars of parturition).14) Subpubic angleV-shaped, sharp angle 70deg to 75deg.U-shaped, rounded, broader angle 90deg to 100deg15) Pelvic brim or inletHeart-shapedCircular or elliptical; more spacious; diameters longer.16) Pelvic cavityConical and funnel-shapedBroad and round17) Pelvic outletSmallerLarger18) Sacroiliac articulationLarge, extends to 2 1/2 to 3 vertebrae.Small, oblique, extends to 2 to 2 1/2 vertebrae.19) Sacroliliac joint surfaceLarge and less sharply angulated.L-shaped and elevated anteriorly.20) SacrumLonger, nanrower, with more evenly distributed curvature; promontory well marked. Body of first sacral vertebra larger.Shorter, wider; upper half almost straight, curve forward in lower half; promontory less marked.Body of first sacral vertebra small.21) CoccyxLess movableMore movable22) Ischiopubic index73 to 9491 to 115 Public length in mm.------------------Ischial length in mm.x 100 23) Sciatic notch index4 to 55 to 6 Width of notch index------------------Depth of sciatic notchx 100 24) Pubic ramus ratio1:12 : 1 or greater